All of the following are true about Albinism except:
1. Congenital disorder characterized by depigmented skin, hair and eyes
2. It is caused by mutation in Tyrosinase enzyme
3. Melanocytes are normal in number
4. Autosomal dominant

Correct answer: 4. Autosomal dominant

Explanation: Albinism is a autosomal recessive condition and histopathology shows normal number of melanocytes, but with decreased melanin production.